The Ducts of Bellini are typically seen in
1. Pancreas
2. Liver
3. Kidney
4. Submandibular salivary gland

Correct answer: 3. Kidney

Explanation: Inderbir Singh's Human Histology Sixth edition Pg 304 The space between renal columns constitute ducts of bellini